Incubation period of Nipah virus
1. 4 -14 days
2. 2 - 6 days
3. 3 -8 days
4. 5 - 10 days

Correct answer: 1. 4 -14 days

Explanation: Ref:Park's Textbook of Preventive and Social Medicine 25th Ed Pg.310